Which of the following treatments cannot used for management of Obsessive Compulsive Disorder (OCD)?
1. Cognitive Behaviour Therapy
2. Fluoxetine
3. Carbamazepine
4. Clomipramine

Correct answer: 3. Carbamazepine

Explanation: Fluoxetine and Clomipramine are used as medication options in OCD. However Cognitive Behaviour Therapy is the psychological traetment for OCD. This involves a technique called exposure and response prevention.